A volunteer Ram will receive a new drug in a phase I clinical trial. The clearance and the volume of distribution of the drug in Ram are 1.386 I/hr and 80 L respectively. The half life of the drug in him would be approximately:
1. 83 hr
2. 77 hr
3. 40 hr
4. 0.02 hr

Correct answer: 3. 40 hr